Rate limiting step in catecholamine synthesis:-
1. Phenylethanolamine N-methyltransferase
2. Dopadecarboxylase
3. Tyrosine hydroxylase
4. Tryptophan decarboxylase A

Correct answer: 3. Tyrosine hydroxylase

Explanation: Catecholamines are epinephrine, norepinephrine and dopamine. L-DOPA is the precursor of all catecholamines The diagram given below shows the synthesis of L-DOPA and the rate limiting enzyme in the synthesis is tyrosine hydroxylase.